Inverse supinator jerk is
1. C5, C6
2. C6, C7
3. L5, Si
4. La, Si

Correct answer: 1. C5, C6

Explanation: A i.e. C5, C6